Most common urinary tumour in children is
1. Rhabdomyosarcoma
2. Leomyoma
3. Wilm's tumour
4. Nephrogenic rests

Correct answer: 3. Wilm's tumour

Explanation: (Wilm's tumour) (2143 -Nelson 18th) (591-Ghai 7th)1. Rhabdomyosarcoma is the most common soft tissue sarcoma in children 15 years (MC site head & neck region)2. Wilm s tumor or nephroblastoma is the most common malignant tumour of the kidney (Under 5years of age)3. Neuroblastoma is the most common intra- abdominal solid tumor in childhood (Before 6 years of age)4. Retinoblastoma is the most common primary ocular tumor of childhood (White reflex is MC sign)* Wilms tumour associated with syndrome - WAGR, Denys- Drash, Backwith - Wiedemann syndrome others hemihypertrophy sporadic aniridia, neurofibromatosis (Von Recklinghausen disease) and Von Wille brand diseaseGenitourinary anomalies most commonly associated Wilms tumour are hypoplasia, fusion and ectopia of the kidney, duplications of collecting systems, hypospadias and cryptorchildism